In patients with anterior uveitis, decrease in vision due to posterior segment involvement can occur because of -
1. Visual floaters
2. Inflammatory disc edema
3. Exudative retinal detachment
4. CME

Correct answer: 4. CME

Explanation: Posterior involvement is changes in the vitreous and retina: Exudates and inflammatory cells may be seen in the anterior vitreous after an attack of acute iridocyclitis. Cystoid macular edema(CME) may occur, specially in the chronic iridocyclitis.